All passes through deep inguinal ring, EXCEPT?
1. Spermatic cord
2. Internal spermatic fascia
3. Round ligament
4. Ilio inguinal nerve

Correct answer: 4. Ilio inguinal nerve

Explanation: It transmits the spermatic cord in the male and the round ligament of the uterus in the female into the inguinal canal. Internal spermatic fascia is present in the spermatic cord. Ilio inguinal nerve passes only through superficial inguinal canal and not through deep. Inguinal canal: contains the spermatic cord and the ilioinguinal nerve in the male, and the round ligament of the uterus and the ilioinguinal nerve in the female. It is an oblique canal about 4 cm. long, slanting downward and medialward, and placed parallel with and a little above the inguinal ligament; it extends from the deep inguinal ring laterally to the superficial inguinal ring medially. Deep inguinal ring: hole in transversalis fascia lying 3cm superior to the midpoint of the inguinal ligament. Contents: Spermatic cord in males Round ligament in females Superficial inguinal ring: V-shaped defect in the lower medial fibres of the external oblique just superior and lateral to the pubic tubercle. Contents: Spermatic cord in males Round ligament in females Ilioinguinal nerve in both males and females